Precocious puberty is most characteristic of which of the
following?
1. Jaffe's Syndrome
2. Monostotic fibrous dysplasia
3. Albright's sybdrome
4. Osteogenesi imperfecta

Correct answer: 3. Albright's sybdrome